Hangman's fracture is:
1. Spondylolisthesis of C2 over C3
2. Fracture of odontoid process
3. Fracture of transverse process
4. Dislocation of C5

Correct answer: 1. Spondylolisthesis of C2 over C3

Explanation: Ans. Spondylolisthesis of C2 over C3